Relationship between the disease and social conditions
1. Political science
2. Social Psychalogy
3. Social Pathology
4. Social Sciences

Correct answer: 3. Social Pathology